A patient presents with pain and cold insensitivity at the fingertip. There is a bluish discoloration under the nail. The most likely diagnosis is?
1. Neurofibroma
2. Glomus tumor
3. Turret tumor
4. Raynaud's disease

Correct answer: 2. Glomus tumor

Explanation: Ans. B. Glomus tumorThe giveaway is the bluish colour under the nail. This is typical for the glomus tumor; this is a rare benign neoplasm arising from the glomus body (a neuromyoarterial apparatus). It can be excised by lifting the nail up (if under the nail plate) with repair of the nail bed afterwards.